A patient on cisplatin therapy develops intractable vomiting on the third day of treatment. Agent of choice for controlling this vomiting is:
1. Aprepitant
2. Ondansetron
3. Metoclopramide
4. Prochlorperazine

Correct answer: 1. Aprepitant

Explanation: (Ref: Katzung 10/e p1027, 1028) Cisplating induced vomiting has two phases. Early Phase: It occurs within first 24 hours. 5HT3 antagonists like ondansetron are the agents of choice for this condition. Delayed Phase: Vomiting occurring ater 24 hours is less responsive to ondansetron and other drugs. It is best controlled by substance Pantagonist like aprepitant.